Time for peak plasma concentration (T max) indicates:
1. The rate of elimination
2. The rate of absorption
3. The duration of effect
4. The intensity of effect

Correct answer: 2. The rate of absorption